Which of the following is not transmitted transplacentally –
1. Mumps
2. Syphilis
3. Rubella
4. Toxoplasma

Correct answer: 1. Mumps